A patient sees a rope and fears like a snake. It is called -
1. Illusion
2. Hallucination
3. Delusion
4. Depersonalization

Correct answer: 1. Illusion

Explanation: The real object, i.e. rope is misinterpreted as snake → illusion.